All are true about Autoimmune disease except ?
1. T cells recognise self antigen
2. Hashimoto's thyroiditis is an example
3. Higher incidence among males
4. Polyclonal B cell activation

Correct answer: 3. Higher incidence among males

Explanation: Ans. is 'c' i.e.Higher incidence among male The essential feature of an autoimmune disease is that tissue injury is caused by the immunologic reaction of the organism with its own tissues. Autoimmunity, on the other hand, refers merely to the presence of antibodies or T lymphocytes that react with self- antigens and does not necessarily imply that the development of self reactivity has pathogenic consequences. . Autoimmune diseases are syndromes caused by the activation of T or B cells or both, with no evidence of other causes such as infections or malignancies. Intense stimulation of T lymphocytes can produce nonspecific signals that bypass the need for antigen-specific helper T cells and lead to polyclonal Bcell activation with the formation of multiple autoantibodies. . It is now known that low levels of autoreactivity of T and B cells with self- antigens in the periphery are critical to their survival. . Co-stimulatory molecules such as B7-1 (CD80) or B7-2(CD86)are involved in autoimmunity. . Higher incidence among female-Ananthnarayan 8th/172 . Hashimoto's thyroiditis is an autoimmune disorder.